Succinylcholine is short acting due to
1. Rapid excretion
2. Poor absorption
3. Rapid hydrolysis
4. None of the above

Correct answer: 3. Rapid hydrolysis

Explanation: Succinylcholine is rapidly metabolized in plasma by pseudocholinesterase. Ref Katzung 12th ed.